Band shaped keratopathy is caused by-
1. Amyloid
2. CalcIum
3. Monopolysaccharide
4. Lipid

Correct answer: 2. CalcIum

Explanation: Calcific degeneration (Band Shape keratopathy)Band shape keratopathy (BSK) is essentially adegenerative change associated with deposition ofcalcium salts in Bowman's membrane, most superficialpa of stroma and in deeper layers of epithelium. Etiology  Ocular diseases. Band keratopathy is seen in association with: chronic uveitis in adults, children with Still's disease, phthisis bulbi, chronic glaucoma, chronic keratitis and ocular trauma.  Age related BSK is common and affects otherwise healthy cornea.  Metabolic conditions rarely associated with BSK include hypercalcaemia and chronic renal failure. REF:Comprehensive ophthalmology,4th edition,pg no.116